All are true about chromosomal instability syndrome except-
1. DNA repair defect
2. Autosomal dominant inheritance
3. Increased risk of malignancy
4. Associated immunodeficiency

Correct answer: 2. Autosomal dominant inheritance

Explanation: Ans. is 'b' i.e., Autosomal dominant inheritanceo Chromosomal instability syndromes are typically transmitted in an autosomal recessive mode of inheritanceChromosome instability syndromeso They are a group of inherited conditions associated with chromosomal instability and breakage. The disorders are characterized by a defect in DNA repair mechanisms or genomic instabilityo Susceptibility to exogenous genotoxic agents such as ultraviolet (UV) light, oxidative stress, and chemical mutagens, can also lead to a variety of nucleotide modifications and DNA strand breakso Patients with these disorders show increased predisposition to cancer.o Another hallmark of these disorders is immunodeficiency, a phenotype caused by an inability to properly repair DNA strand breaks that occur during development of the immune system,o Important chromosomal syndromes are1) Ataxia telangiectasia2) Ataxia telangiectasia-like disorder3) Bloom syndrome4) Fanconi anaemia5) Nijmegen breakage syndrome6) Xeroderma pigmentosum,7) Cockayne's syndrome